Most common abdominal tumour in neonate :
1. Wilms tumour
2. Neuroblastoma
3. Hydronephrosis
4. Bladder tumour

Correct answer: 2. Neuroblastoma

Explanation: Ans. is 'b' Neuroblastoma Most common abdominal tumour in neonate - Neuroblastoma*Other frequently asked questions about child malignancy*Most common abdominal tumour in children Neuroblastoma **M.C. Tumour in child-Leukemia**2nd m. C. Tumour in child-Brain tumour**M.C. Tumour in child-Brain tumour**M. C. post fossa tumour in child-Astrocytoma**M.C. tumor in a infant-Neuroblastoma *